True about B. recurrentis -
1. Causes leptospirosis
2. Water borne disease
3. Vector borne disease
4. Transmitted by tick

Correct answer: 3. Vector borne disease